Cigar bodies are seen in?
1. Sporotrichosis
2. Chromoblastomycosis
3. Mycetoma
4. Basidiomycosis

Correct answer: 1. Sporotrichosis

Explanation: In sporotrichosis, direct microscopic examination of KOH mounts of necrotic materials or histopathological examination of tissue section stained by methamine silver stain may yield a diagnosis. The characteristics feature is the asteroid body or cigar body: a rounded or oval, basophilic,yeast-like, cigar-shaped body 3-5micron in diameter, with rays of an eosinophilic substance radiating from the yeast cell. Ref:Anantha Narayan and Panickers Textbook of Microbiology, 9th edition, page no.602